Which of the following ultra-violet radiation cause most skin disorder-
1. UV-A
2. UV-B
3. UV-C
4. None

Correct answer: 2. UV-B

Explanation: Cutaneous responses to uv radiation UVA -315-400nm immediate erythema Immediate pigment darkening- merowsky phenomenon drug induced photosensitivity photoageing UVB- 280-315nm 1000x more erythmogenic, associated with sunburn delayed melanogenogenesis major role in carcinogenesis role in photoageing role in vitamin d synthesis UVB has more damage to skin fitzpatrick textbook of dermatology page 267